Normal transferrin is saturated with iron
1. 20%
2. 35%
3. 50%
4. 70%

Correct answer: 2. 35%

Explanation: In normal individuals transferrin is about 1/3 rd saturated with iron , which is roughly near 35%. Ref :Robbins Pathologic basis of disease, pg :649